The dreaded complication of Rituximab is:
1. Progressive multifocal leukoencephalopathy
2. AIDP
3. Bone marrow suppresion
4. Cardiac toxicity

Correct answer: 1. Progressive multifocal leukoencephalopathy

Explanation: The dreaded complication of Rituximab is progressive multifocal leukoencephalopathy Ref: Harrison's principles of internal medicine, 18th edition ; Page 882.